Biological clock of brain is located in -
1. Preoptic nucleus
2. Lateral nucleus
3. Suprachiasmatic nucleus
4. Supraoptic nucleus

Correct answer: 3. Suprachiasmatic nucleus

Explanation: Ans. is 'c' i.e., Suprachiasmatie nucleus